Most of the drug resistance occurs due to:
1. Transduction
2. Translation
3. Mutation
4. Conjugation

Correct answer: 4. Conjugation